Which of the following type of microscope not only reveals cell organelles but also quantitative measurement of chemical constituents of cell:
1. Light microscope.
2. Phase contrast microscope.
3. Dark field microscope.
4. Interference microscope.

Correct answer: 4. Interference microscope.

Explanation: TYPES Of MICROSCOPY: 
i) In optical or light microscope, examination of wet films or hanging drops indicates the shape, arrangement, motility and approximate size of cells.
ii) In phase contrast microscopy the structures within the bacterial cell and the surrounding medium, which differ in thickness or refractive index are clearly visible. In this microscope, the "phase differences" are converted into differences in intensity of light, producing light and dark contrast in the image.
iii) In Dark field microscope, reflected light is used instead of the transmitted light used in ordinary microscope. With visible light, the limit of resolution is about 300nm.
iv)The interference microscope not only reveals cells organells but also quantitative measurements of the chemical constituents of cells such as lipids, proteins and nucleic acids.
v) The polarization microscope enables the study of intracellular structures using differences in birefringence.
vi) In electronic microscope, a beam of electrons is employed instead of beam of light. The resolving power is 0.1nm.